Road - to health chart was given by?
1. John Snow
2. David Morley
3. Koch
4. Henrey Ducant

Correct answer: 2. David Morley

Explanation: Ans. is 'b' i.e., David morley Growth chart Also known as "road-to-health" chart. It was first designed by David morley. It is a visible display of the child's physical growth and development. It is designed primarily for the longitudinal follow-up (growth monitoring) of child. Mostly weight for age is taken into consideration (height is not taken into consideration). This is because weight is the most sensitive measure of growth and any deviation from normal can be detected easily by comparison with reference curves. A child can lose weight but not height. The growth chart offers a simple and inexpensive way of monitoring weight gain and infact child health overtime.